Testing of receipient cells against donor serum is
1. Major Cross Matching
2. Minor Crossmatching
3. Direct Coomb's Test
4. Rh Group Matching

Correct answer: 2. Minor Crossmatching

Explanation: Answer- B. Minor CrossmatchingMinor cross-match: Recipient red cells are tested against donor serum to detect donor antibodies directed against a patient's antigens.This is no longer required. It is assumed that the small amount of donor serum and antibodies left in a unit of packed cells will be diluted in a recipient